Methemoglobinemia is associated with:
1. Articaine
2. Prilocaine
3. Bupivacaine
4. Mepivacaine

Correct answer: 2. Prilocaine

Explanation: A unique systemic side effect associated with a specific local anesthetic is the development of methemoglobinemia after the administration of large doses of prilocaine. In general, 600-mg doses are required for the development of clinically significant levels of methemoglobinemia in adults. Ref: Miller's anesthesia-7th ed, Chapter 30.